Which of the part of the sclera is thinnest?
1. Limbus
2. Equator
3. Anterior to attachment of superior rectus
4. Posterior to attachment of superior rectus

Correct answer: 4. Posterior to attachment of superior rectus

Explanation: The sclera averages 0.5 mm in thickness, is relatively avascular, and consists of tough, dense connective tissue containing flat type I collagen bundles which intersect in various directions. Sclera is thinner in children than the adults and in females than the males. Sclera is thickest posteriorly (1 mm) and gradually becomes thin when traced anteriorly. It is thinnest at the insertion of extraocular muscles (0.3 mm), especially just posterior to the rectus insertions; elsewhere it is about 0.6 mm thick. Ref: Ophthalmology: Expert Consult edited by Myron. Yanoff, Jay S. Duker, James J. Augsburger, 2009, Page 1301.